Infant mortality rate does not include
1. Still births
2. Late neonatal mortality
3. Post neonatal mortality
4. Early neonatal mortality

Correct answer: 1. Still births